True about duct ectasia
1. A\/W smoking
2. puckering of skin over the breast seen
3. Abscess formation not seen
4. Treated by mastectomy

Correct answer: 1. A\/W smoking

Explanation: duct ectasia; it is dialatation of lactiferous duct due to muscular relaxation of ductwall with periductal mastitis greenish discarge from the nipple indurated mass under the areola which is tendor eventually it forms Abscess and fistula associated with smoking treatment is cone excision of involved major ducts - Adair Hadfield operation ref ;(page no;525) 5th edition of SRB'S Manual of SURGERY